A 20 year old man is hit on the eye with a ball. On examination there is restriction of lateral and upward gaze and diplopia. There is no obvious visible sign of injury to the eye ball, but there is some enophthalmos, the likely diagonosis is -
1. Zygoma fracture
2. Maxillary fracture
3. Blow out fracture of the orbit
4. Injury to lateral rectus

Correct answer: 3. Blow out fracture of the orbit